The most preferred acute emetic for emesis induced by anticancer drugs is
1. Ondensetron
2. Metaclopromide
3. Chlorpromazine
4. Dicyclomine

Correct answer: 1. Ondensetron